Ligament teres is a remnant of ?
1. Ductus arteriosus
2. Umbilical artery
3. Umbilical vein
4. Ductus venosus

Correct answer: 3. Umbilical vein

Explanation: Umbilical vein